DVT, investigation of choice is:
1. Duplex scan
2. Plethysmography
3. Venography
4. X-ray

Correct answer: 1. Duplex scan

Explanation: * USG- Anatomical delineation* Doppler- To assess vascular flow* Duplex scan - Combination of anatomical delineation and vascular flow assessment.* Duplex scan is the IOC for diagnosis of DVT and varicose veins.